Maximum cross sectional area is seen in which of the following vessels?
1. Arteries
2. Capillaries
3. Arterioles
4. Veins

Correct answer: 2. Capillaries

Explanation: Maximum cross sectional area is seen in capillaries.